Triturating a dental amalgam will _____.
1. Reduce the size of the alloy particles.
2. Coat the alloy particles with mercury.
3. Reduce the crystal sizes as they form.
4. Dissolve the alloy particles in mercury.

Correct answer: 2. Coat the alloy particles with mercury.

Explanation: Triturating (mixing) the amalgam particle with the mercury is intended to result in coating the particles with a surface of mercury and creating the desirable phases in the set amalgam. All of the alloy particle is not dissolved in the mercury, nor is the size significantly reduced.